Methotrexate toxicity is prevented by giving?
1. Folic acid
2. Folinic add
3. Citric acid
4. Glucaric acid

Correct answer: 2. Folinic add

Explanation: Ans. is 'b' i.e., Folinic acid * Folinic acidFor preventing methotrexate toxicity* AllopurinolTo prevent hyperuricemia caused by rapid destruction of cells during cancer chemotherapy.* Lithium carbonateIt has stimulant effect on bone marrow, so used during myelosuppresive drug therapy.* OndensetronFor controlling cytotoxic drug induced vomiting.* MesnaFor prevention of cyclophosphamide/ formamide indused hemorrhagic cystitis